Type of collagen seen in dermo-epidermal junctions?
1. Type IV
2. Type VII
3. Type XV
4. Type XXII

Correct answer: 2. Type VII

Explanation: Type VII collagen is seen in dermo-epidermal junctions. Reference: Harper; 30th edition; Page no: 628 Table no: 50-1